A 21 year old lady presented with history of tiredness, weight gain, depression and excessive somnolence. What will not be seen:
1. Hypertension
2. Delayed relaxation of tendon reflexes
3. Anaemia
4. Tachycardia

Correct answer: 4. Tachycardia

Explanation: Ans: D i.e. Tachycardia Most cases of hypothyroidism are not clinically obvious, however, and a high index of suspicion needs to be maintained so that the diagnosis is not overlooked in the middle aged woman complaining of non-specific symptoms such as tiredness, weight gain, depression or carpal tunnel syndrome Signs of hypothyroidism includes weight gain, anaemia, bradycardia, hypertension, delayed relaxation of tendon reflexes, dermal myxoedema etc.